Treatment of SNT with Lymph node involvement
1. Radiation
2. Chemotherapy
3. Excision of nodule
4. Total thyroidectomy + MRND

Correct answer: 4. Total thyroidectomy + MRND

Explanation: Ans. (d) Total thyroidectomy + MRNDRef: Page 1537/ Schwartz 10th edition* A solitary nodule with Lymph node involvement is suggestive of Papillary cancer. So Total thyroidectomy + MRND on that side is must.